Non venereal treponemas is/are-a) T. pertenueb) T. carateumc) T. pallidumd) T. cuniculi
1. ac
2. ab
3. ad
4. bc

Correct answer: 2. ab